Pseudo- P- pulmonale is seen in?
1. Hypokalemia
2. Hyperkalemia
3. Hypomagnesemia
4. Hypercalcemia

Correct answer: 1. Hypokalemia

Explanation: P-Pulmonale = Height of P wave > 2.5 mm in limb leads of patient seen in patient of PAH. Pseudo P-Pulmonale= Height of P wave > 2.5 mm in limb leads in absence of PAH Option Electrolyte imbalance ECG findings Option A Hypokalemia T becomes smaller, inverted P becomes vertically higher, seems like P pulmonale Option B Hyperkalemia Tall tented T wave Option C Hypomagnesemia QT Prolongation Option D Hypercalcemia QT shortening